The most appropriate inhalational agent for pediatric patients
1. Sevoflurane
2. Desflurane
3. Isoflurane
4. Halothane

Correct answer: 1. Sevoflurane

Explanation: Sevoflurane fast acting with pleasant smell , most appropriate for pediatric patients. Sevoflurane is the most commonly used inhalational agent for induction. This is because of its lack of pungency and low blood: gas solubility of 0.65 which allows for a smooth induction of anesthesia.